Virus causing hepatocellular carcinoma, belongs to -
1. Hepadanviride
2. Enterovirus
3. Calci virus
4. None

Correct answer: 1. Hepadanviride

Explanation: Ans. is 'a' i.e., Hepadanviride o Among the hepatitis viruses, HBV (hepadanavirus) and HCV (flavivirus) can cause hepatocellular carcinoma.VirusHAV, 27 nm RNA Picomavirus (Hepatovirus)HBV, 47 nm DNA (Hepadnavirus)HCV, 30-60 nm RNA, Flavivirus (Hepacivirus)HD V, 35-37 nm Defective RNA DeltavirusHEV, 32-34 nm RNA HerpesvirusModes of infectionFecal-oralPercutaneous, Vertical, SexualPercutaneousPercutaneousFecal-oralAge affectedChildrenAny ageAdultsAny ageYoung adultsIncubation period (days)154530-18015-16030-18015-60OnsetAcuteInsidiousInsidiousInsidiousAcuteIllnessMildOccasionally severeModerateOccasionally severeMild, except in pregnancyCarrier stateNilCommonPresentNil (only with HBVNilOncogenicityNilPresent specially after neonatal infectionPresentNilNilPrevalenceWorldwideWorldwideProbably worldwideEndemic areas (Mediterranean, N Europe, Central and N America)Only developing countries (India Asia. Africa Central, America)Specific prophylaxisIg and Vaccineig and vaccineNilHBV vaccineNil